Which of the following is not a neuroectodermal derivative?
1. Paneth cells
2. Neurons
3. Schwann cells
4. Odontoblasts

Correct answer: 1. Paneth cells